Fascia of Waldeyer's is seen in?
1. Between prostate and rectum
2. Between rectum and sacrum
3. Between rectum and pouch of douglas
4. Between bladder and vas

Correct answer: 2. Between rectum and sacrum

Explanation: ANSWER: (B) Between rectum and sacrumREF: BDC 4th edition vol 2 page 380Indirect repeat from December 2011Repeat (**): Twice repeated beforeSUPPORTS OF RECTUM:1. Rectovesical fascia of Denonviller's: Extends from rectum behind to the seminal vesicles and prostate in front.2. Fascia of waldeyer: Attaches lower part of rectal ampulla to sacrum, it is the condensation of pelvic fascia and contains superior rectal vessels and lymphatics3. Pelvic floor and levator ani4. Lateral ligament of rectum5. Pelvic peritoneum